Tic douloureux is facial pain traveling through which of the following nerves -
1. Facial
2. Hypoglossal
3. Trigeminal
4. Vestibulocochlear

Correct answer: 3. Trigeminal

Explanation: Ans. is 'c' i.e.. Trigeminal o Tic Douloureux refers to the association of Hemifacial spasm with Trieeminal Neuralgia (Trieeminal nerve)o The pain of trigeminal neuralgia tends to occur in paroxysms and is maximal at or near onset.o Facial spasma can be seen with severe pain.# This finding gave rise to the older term for this disorder (Tic douloureux).# The clinical association of hemificial spasm with severe pain is called Tic douloureux.o Trigeminal neuralgia was also known as Suicide disease.# It is considered by many among the most painful conditions of the mankind and was once labelled the suicide disease because of the significant number of people taking their own lives before effective treatments were discovered.